Drug used to perform stress ECHO -
1. Thallium
2. Dobutamine
3. Adrenaline
4. Adenosine

Correct answer: 2. Dobutamine

Explanation: Stress echo has the same technique used to acces the heart function at rest with a stressor as exercise or dobutamine infusion. It can cause emergence of regions of akinesis or dyskinesis not present at rest.IT Is primarily indicated to confirm the suspicion of ischaemic heart disease and to estmate its severity. Response of gradient to dobutamine stimulation is of diagnostic and therapeutic value in pts with low systolic function of concomitant coronary heart disease. Ref : Sutton 7/e p-277